Na/K pump which enzyme is used
1. ATPase
2. GTPase
3. Acetyl CoA
4. NADPH

Correct answer: 1. ATPase

Explanation: Example of ATPases is sodium-potassium adenosine triphosphatase (Na, K ATPase), which is also known as the Na, K pump. Na, K ATPase catalyzes the hydrolysis of ATP to adenosine diphosphate (ADP).(REF.GANONG'S REVIEW OF MEDICAL PHYSIOLOGY -23rd EDITION.Page No-46,47)